What does Gettlers test detects -
1. Diatoms in drowning
2. Chloride content of blood in drowning
3. Weight in drowning
4. None

Correct answer: 2. Chloride content of blood in drowning

Explanation: Reff: The synopsis of forensic medicine & Toxicology 28th edition pg: 194 In 1921, Gettler published a test for drowning from right and left heart chambers, a difference of 25mg/100ml between the chlorides concentrations of the two sides of the heart indicated that the death was due to drowning. In freshwater drowning the chloride level in the blood in the left side of the heart was lower than in the right side; the reverse situation was noted in saltwater drowning. Positive is seen in seawater drowning due to hemoconcentration and negative in fresh water drowning due to hemodilution.